"Chicken-wire" appearance of enlarged bone marrow spaces is seen in:
1. Fetal alcohol syndrome
2. Sickle cell anaemia
3. Haemophilia A
4. Beta thalassemia major

Correct answer: 4. Beta thalassemia major

Explanation: In the jaws in beta thalassemia, there is generalized rarefraction of alveolar bone, thinning of cortical bone, and a “chicken-wire” appearance of enlarged marrow spaces and coarse trabeculation. 
In some cases, the lamina dura may be thin, the roots of the teeth short, and the premaxilla prominent.

Poynton HG: Oral radiology, Baltimore, 1982, Williams & Wilkins, Page: 230-232.